Which of the following disease is transmitted by rat flea?
1. Trench fever
2. Chages disease
3. Oriental sore
4. Endemic typhus

Correct answer: 4. Endemic typhus

Explanation: parks textbook of preventive and social medicine 23rd edition *rat fleas are known to transmit the following diseases :bubonic plague,endemic or murine typhus,chiggerosis,hymenolepis diminuta.